Which one of the following statements concerning Loose Connective Tissue is true?
1. It is less abundant than Dense Connective Tissue.
2. It has a lower proportion of cells to fibers than does Dense Connective Tissue.
3. It acts as a medium for exchange of nutrients and wastes between the blood and tissues.
4. It provides structural support for organs.

Correct answer: 3. It acts as a medium for exchange of nutrients and wastes between the blood and tissues.

Explanation: Both Loose and Dense connective tissues are composed of three elements: an amorphous ground substance, fibers, and various types of cells. The Amorphous ground substance of Loose Connective Tissue is the medium of exchange between the connective tissue cells and the bloodstream. Lower proportion of cells to fibers is a feature of Dense Connective tissue.